Maximum audible tolerance is? (As per factory Act)
1. 90 db for 6 hours
2. 90 db for 8 hours
3. 85 db for 6 hours
4. 85 db for 8 hours

Correct answer: 2. 90 db for 8 hours

Explanation: ANSWER: (B) 90 db for 8 hoursREF: Dhingras 3rd ed page 46According to ministry of labour government of IndiaA noise of 90 db, 8 hrs a day for 5 days per week is maximum safe limit.No exposure in excess of 115 db is permittedNo impulse noise of intensity greater than 140 db is permitted.Persons working in area where noise exceeds 85 db should have pre employment and annual audiogramsEar plugs offer protection upto 35 db and to be used where noise exceeds 85 db